Which of the following is the best indication for propofol as an intravenous induction agent?
1. Neurosurgery
2. Day care surgery
3. Patients with coronary artery disease
4. In neonates

Correct answer: 2. Day care surgery

Explanation: Smooth induction and rapid recovery with antiemetic property of propofol makes it an ideal agent for day care surgery.